Which of the following evaluation method is most sensitive in diagnosing pregnancy early?
1. Serum pregnancy test
2. Detection of fetal heart tones by Doppler equipment
3. Abdominal ultrasound
4. Bimanual exam to assess uterine size

Correct answer: 1. Serum pregnancy test

Explanation: A Doppler instrument will detect fetal cardiac action usually no sooner than 10 weeks.A sensitive serum pregnancy test can detect placental HCG levels by 8 to 9 days post-ovulation, and it is, therefore, the most sensitive modality for detecting and diagnosing pregnancy.